Which is the true statement regarding gonococcal urethritis -
1. Symptoms are more severe in females than in males
2. Rectum and prostate are resistant to gonococci
3. Most patients present with symptoms of dysuria
4. All

Correct answer: 3. Most patients present with symptoms of dysuria

Explanation: Ans. is 'c i.e., Most patients present with symptoms of dysuria urinary frequency or urgency are the major symptoms. Single doses of ciprofloxacin, ofloxacin or levofloxacin are effective first line regimens. Prostate and rectum are not resistant to gonococci, as proctitis and prostitis can occur as complications of gonococcal urethritis. Clinical disease is as a rule less severe in women, many of whom may carry gonococci in the cervix without any symptoms. Asymptomatic carriage of gonococci is rare in men. DGI or gonococcal arthritis occurs in .5 - 3% of persons with untreated gonococcal infection.